Feature of shock lung is?
1. Diffuse alveolar damage
2. Usual interstitial pneumonitis
3. Organizing pneumonia
4. Bronchilolitis

Correct answer: 1. Diffuse alveolar damage

Explanation: Lungs due to dual blood supply are generally not affected by hypovolaemic shock but in septic shock, the morphologic changes in lungs are quite prominent termed as 'shock lung'.Grossly, the lungs are heavy and wet. Microscopically, changes in ARDS are seen. The changes include congestion, interstitial & alveolar edema, interstitial lymphocytic infiltrate, alveolar hyaline membranes, thickening and fibrosis of alveolar septa, and fibrin and platelet thrombi in the pulmonary microvasculature.,i.e.,diffuse alveolar damage. Reference: Textbook of pathology-Harsh Mohan,6th edition,page no:113 and Harrison